Advantages of domperidone over metoclopramide include the following except:
1. Its effect on the gut motility is not reduced by atropine.
2. There is no hyperprolactinemia.
3. Rare incidence of extrapyramidal side effects.
4. It does not interfere with the treatment of Parkinson's disease.

Correct answer: 2. There is no hyperprolactinemia.

Explanation: B Dornperidone is a dopamine receptor antagonist. Its penetration into CNS is limited hence rarely causes extrapyramidal side effects and does not interfere with the treatment of Parkinson's disease. However, it can antagonize the dopamine receptors of the pituitary resulting in hyperprolactinemia. Its effects on gut motility are not decreased by atropine.